Which of the following is not included in hypopharynx?
1. Pyriform fossa
2. Post cricoid region
3. Anterior pharyngeal wall
4. Posterior pharyngeal wall

Correct answer: 3. Anterior pharyngeal wall

Explanation: (c) Anterior pharyngeal wall(Ref. Scott Brown, Vol 3; 743)Anterior pharyngeal wall is no entity. Anterior to the hypopharynx is the larynx. Anterior to the nasopharynx and oropharynx are nasal and oral cavities respectively.